In Enamel maturation during primary phase, initial Influx is abour:
1. 15-20% of total mineral content.
2. 25-30% of total mineral content.
3. 45-50% of total mineral content.
4. 65-75% of total mineral content.

Correct answer: 2. 25-30% of total mineral content.